The culture medium used for corynebacterium diphtheriae
1. Loeffler's serum slope
2. Tetrathionate broth
3. Selenite 'F' broth
4. Chocolate agar

Correct answer: 1. Loeffler's serum slope

Explanation: • The usual media employed for cultivation of diphtheria bacillus are
1) Loeffler’s serum slope
■ It is used for rapid diagnosis as growth is shown within 4-8 hours.
2) Tellurite blood agar (Tinsdale medium)
■ It acts as selective media, as tellurite inhibits the growth of most other bacteria.
■ Growth may take two days to appear.